A child is diagnosed to have Burkitt's Lymphoma. Presence of which of the following translocation confirms the diagnosis?
1. t (11:22)
2. t (8:14)
3. t (15:17)
4. t (9:22)

Correct answer: 2. t (8:14)

Explanation: Presence of t(8:14) helps in confirming the diagnosis of Burkitt's lymphoma. These cells are positive for CD10, CD19 and CD20. Ewing's sarcoma and primitive neuroectodermal tumor are positive with CD99 immunostain and t(11:22) is their characteristic chromosomal abnormality. t(15:17) is associated with acute myelogenous leukemia and is associated with a favourable outcome. t(9:22) result in BCR-ABL fusion gene and is associated with Chronic myelogenous leukemia. t(14:18) is associated with follicular cell lymphoma. Ref: Longo D.L. (2012). Chapter 110. Malignancies of Lymphoid Cells. In D.L. Longo, A.S. Fauci, D.L. Kasper, S.L. Hauser, J.L. Jameson, J. Loscalzo (Eds),Harrison's Principles of Internal Medicine, 18e.